Which of the following is catabolic pathway?
1. Cholesterol synthesis
2. Glycogenesis
3. Fatty acid synthesis
4. Ketone body synthesis

Correct answer: 4. Ketone body synthesis

Explanation: Both Ketone body synthesis and ketone body breakdown are catabolic pathways.